Which of the following statements regarding corneal transplantation is true?
1. Whole eye needs to be preserved in tissue culture
2. Donor not accepted if age > 60 years
3. Specular microscopy analysis is used to assess endothelial cell count
4. HLA matching is mandatory

Correct answer: 3. Specular microscopy analysis is used to assess endothelial cell count

Explanation: Ans. (c) Specular microscopy analysis is used to assess endothelial cell countRef: Textbook of Ophthalmology by Sunita Agarwal (Jaypee) Is'* Corneoscleral button needs to be preserved, though whole eye can also be preserved.* Age is not a criteria for donor eye.* HLA matching is not mandatory as the cornea is immunologicaly previliged.